Major flexor of hip joint
1. Psoas major
2. Gluteus maximus
3. Tensor fasciae latae
4. Hamstring

Correct answer: 1. Psoas major

Explanation: The hip flexors Vesi are (in descending order of importance to the action of flexing the hip joint): Collectively known as the iliopsoas or inner hip muscles: Psoas major Iliacus muscle Anterior compartment of thigh Rectus femoris (part of the quadriceps muscle group) Sartorius One of the gluteal muscles: Tensor fasciae latae Medial compartment of thigh Pectineus Adductor longus Adductor The psoas major is a long fusiform muscle located on the side of the lumbar region of the vertebral column and brim of the lesser pelvis. It joins the iliacus muscle to form the iliopsoas. Ref - BDC 6th edition vol2 ; pg 139